What is the pressure at which oxygen is stored?
1. 75psi
2. 1600psi
3. 760 psi
4. 2200 psi

Correct answer: 4. 2200 psi

Explanation: Ans. is 'd' i.e., 2200 psi GasType of cylinder and storage formColour codeCapacityPressurePin-IndexOxygenE. cylinderH. cylinder}GasBlack with white shoulderE-660 lit.H-6900 lit.2200 psi2.5Nitrous oxideEH}LiquidBlueE- 1590 lit.H-15800 lit.760 psi3.5AirE. gasGrey body with black & white shoulder625 lit.2000 psi1,5CarbondioxideE. liquidGrey-1590 lit750 psi2, 6 (< 7.5%)l, 6 (> 7.5%)CyclopropaneLiquidOrange-75 psi3.6HeliumGasBrown-1600 psi Entonox(50% O2 + 50% N.O2)LiquidBlud body with blue & white shoulder-2000 psiCentral (7)NitrogenGasGrey body with black shoulder---